Pheochromocytoma is characterized by excessive secretion of:
1. Catecholamines.
2. Glucocorticoids.
3. Aldosterone.
4. All of the above.

Correct answer: 1. Catecholamines.

Explanation: Pheochromocytoma is the tumour of the adrenal medulla.